Onion peeling of renal vessels is seen in ?
1. Benign hypertension
2. Malignant hypertension
3. Diabetic nephropathy
4. SLE

Correct answer: 2. Malignant hypertension

Explanation: Ans. is 'b' i.e., Malignant hypertension There is concentric hyperplastic proliferation of the smooth muscles together with fine concentric layering of collagen to form a hyperplastic arteriolitis (Onion skin lesion). Malignant nephrosclerosis is the form of renal disease associated with malignant or accelerated phase of hypertension. Pathology of kidney in Malignant Hypertension On Gross Inspection : The kidneys are normal in size or slightly enlarged. They have a smooth surface with numerous small petechial hemorrhages. These small pinpoint petechial hemorrhages appear on the cortical surface from rupture of arterioles or glomerular capillaries. On Histology ? Two distinct vascular lesions are seen Fibrinoid necrosis It affects the arterioles and is characterized by infiltration of arteriolar walls with eosinophilic material including fibrin, thickening of vessel walls and occasionally, an inflammatory infiltrate (necrotizing arteriolitis). Hyperplastic arteriolitis This affects the interlobular arteries and arterioles. There is concentric hyperplastic proliferation of the smooth muscles together with fine concentric layering of collagen to form a hyperplastic arteriolitis (Onion skin lesion).